A 6 year old female child reported with a chief complaint of proclined upper anteriors. Parents give a history of prolonged bottle-feeding and a persistent thumb sucking habit. Clinical examination reveals anterior open bite with proclined upper anterior and retroclined lower anterior teeth and associated tongue thrusting.
In thumb sucking, protraction of the maxillary teeth is seen:
1. When the pollex is held upward against the palate
2. When the pollex is held downward against the tongue
3. When the pollex is held inward against the cheek
4. None of the above

Correct answer: 1. When the pollex is held upward against the palate